After the orthopedic surgeon examined the MRI of the shoulder of a 42-year-old female he informed her that the supraspinatus muscle was injured and needed to be repaired surgically. Which of the following is true of the supraspinatus muscle?
1. It inserts on the lesser tubercle of the humerus.
2. It initiates adduction of the shoulder.
3. It is innervated chiefly by the C5 spinal nerve.
4. It is supplied by the upper subscapular nerve.

Correct answer: 3. It is innervated chiefly by the C5 spinal nerve.

Explanation: The supraspinatus muscle inserts on the greater tubercle of the humerus and is said to initiate abduction of the arm at the shoulder. It is supplied principally by spinal nerve C5. The subscapularis muscle is the only muscle that inserts on the lesser tubercle. The subscapularis muscle is innervated by the upper and lower subscapular nerves. The teres minor takes origin from the lateral border of the scapula; the teres major takes origin from the region of the inferior angle and the lateral border of the scapula.